Isthmus of thyroid gland overlies the:
1. 1st tracheal cartilage
2. 1st and 2nd tracheal cartilage
3. 2nd and 3rd and 4th tracheal cartilage
4. 3rd and 4th tracheal cartilage

Correct answer: 3. 2nd and 3rd and 4th tracheal cartilage

Explanation: THYROID GLAND Normal weight of thyroid gland: 20-25 gms Isthmus that is located just inferior to the cricoid cartilage, usually anterior to 2nd and 3rd (mainly) 4th tracheal rings. A pyramidal lobe is present in about 50% of patients. Thyroid capsule is condensed into the posterior suspensory or Berry's ligament near the cricoid cartilage & upper tracheal rings. External laryngeal nerve runs close to the superior thyroid artery and the recurrent laryngeal nerve runs close to the inferior thyroid artery.